Arun was hit by a car and thrown up. He hits the road divider and falls on the ground and sustains head injury then run over by another car. The head injury is classified as:
1. Primary
2. Primary impact
3. Secondary
4. Secondary impact injury

Correct answer: 3. Secondary

Explanation: Ans. Secondary